According to Arnott grading system, both Ascending ramus and tuberosity is affected in:
1. Grade 1.
2. Grade 2.
3. Grade 3.
4. Grade 4.

Correct answer: 2. Grade 2.

Explanation: Arnott grading
I: Both side Ascending Ramus affected.
II: Both Ascending Ramus + tuberosity
III: Entire maxilla + mandible